The drug of choice for prevention of seizures in a patient with severe preeclampsia is :
1. Phenytoin
2. Magnesium sulphate
3. Diazepam
4. Nifedipine

Correct answer: 2. Magnesium sulphate